What is the best time to screen for neonatal hypothyroidism
1. 1 - 2 days after birth
2. 2 - 4 days after birth
3. 1 - 2 has after birth
4. 2 - 4  has after birth

Correct answer: 2. 2 - 4 days after birth

Explanation: At birth, due to stress TSH level increases till 3 days(72 hours) , By 72 days ⇒ TSH becomes normal. Hence best time to screen is after 3 days i.e 2 - 4 days after birth.